. 5' TTACGTAC-3' after transcription what will be the RNA:
1. 5-TTACGTAC-3'
2. 3'- TTACGTAC-5'
3. 5' CATGCATT-3
4. 5'- GUACGUAA-3'

Correct answer: 4. 5'- GUACGUAA-3'

Explanation: D i.e. 5'- GUACGUAA-3'The template strand (5'-TTACGTAC-3') is read in 3'-5' direction and RNA product after transcription has sequence that is complementary to the sequence of template strand but Thymine (T) is replaced by Uracil (U) in RNA.The coding strand of DNA is complementry to its template strand. So it matches the RNA transcript except that T is replaced by U. The information is read in 5'-->3' direction. So